Plummer- Vinson syndrome
1. Is due to folic acid deficiency
2. Common in males
3. Not associated with oral premalignancy
4. Strong association with post-cricoid carcinoma

Correct answer: 4. Strong association with post-cricoid carcinoma